Vitamin A is stored mainly as retinol esters in:
1. Kidney
2. Muscle
3. Liver
4. Retina

Correct answer: 3. Liver

Explanation: C i.e. Liver